Which of the following is the normal arrangement of lingual nerve and vessels in the tongue from medial to lateral
1. Nerve, Artery and vein
2. Artery, Nerve and vein
3. Vein, Artery and Nerve
4. Nerve, Artery

Correct answer: 2. Artery, Nerve and vein